Population covered under one Community Development Block is:
1. 10,000
2. 30,000
3. 50,000
4. 100,000

Correct answer: 4. 100,000

Explanation: One Community Development Block (ICDS) comprises of: Rural/Urban areas: 100,000 population (100 villages). Tribal areas: 35,000 population (550 villages).